Which of the following is / are autoimmune disease:
1. Sjogren's syndrome.
2. Mikulicz's disease.
3. Rheumatoid arthritis.
4. All of the above.

Correct answer: 4. All of the above.

Explanation: Rheumatoid arthritis is reported in about 15 percent cases of Sjogren’s syndrome.